Capsule endoscopy is used for –
1. GERD
2. Motility disorder
3. Bleeding
4. None

Correct answer: 3. Bleeding

Explanation: Capsule endoscopy allows the noninvasive visualization of the mucosa throughout the small intestine. It is particularly useful in the evaluation of obscure gastrointestinal bleeding.